SI unit for measuring Blood Pressure is :
1. Torr
2. mmHg
3. kPa
4. Barr

Correct answer: 3. kPa

Explanation: C i.e. KPa